Which of the following melanoma carries the worst prognosis?
1. Lentigo Maligna
2. Lentigo Maligna melanoma
3. Superficial spreading type
4. Nodular Melanoma

Correct answer: 4. Nodular Melanoma

Explanation: Nodular Melanoma characterized by verticle or down growth of melanoma cells, and carries the worst prognosis.